The bacteria frequently used as an immuno modulator is -
1. Corynebacterium parvum
2. Mycobacterium marinum
3. Chromobacterium violasium
4. Flavobacterium meningosepticum

Correct answer: 1. Corynebacterium parvum

Explanation: Ans. is 'a' i.e., Corynebacterium parvum . Corynebacterium parum is frequently used as an immunomodulator. . It is a mixture of Propionibacterium species.